Drug of choice for MRSA :
1. Vancomycin
2. Metronidazole
3. Imipenem
4. Clindamycin

Correct answer: 1. Vancomycin

Explanation: The current drug of choice for serious infections with MRSA remains vancomycin at most institutions' "Vancomycin in a dose of 15 mg/kg to a maximum of LGM, given twice a day, is the drug of choice for MRSA. Teicoplanin in a dose of 400 mg/day in a single dose is equally effective”